A patient has IDDM diagnosed at age of 15 years. The most reliable indicator for diabetic nephropathy is-A patient has IDDM diagnosed at age of 15 years. The most reliable indicator for diabetic nephropathy is-
1. Urine albumin < 50 mg per day in 3 consecutive samples
2. Urinary protein >550mg perday for3 consecutive samples
3. Development of diabetic retinopathy
4. Hematuria

Correct answer: 2. Urinary protein >550mg perday for3 consecutive samples

Explanation: Ans is option 2 Urinary protein more than 550mg/day for 3 consecutive samples Microalbuminuria is defined as albumin excretion of 30-300mg/dl Overt nephropathy or overt proteinuria is defined as albumin excretion greater than 300mg/dl Ref Harrison 17/e p 2288 Robbins 7/e p 992